Kanawati index is -
1. Height\/ head circumference
2. Mid arm circumference\/ Head circumference
3. Weight\/ Height
4. Abdominal circumferece\/ Head circumference

Correct answer: 2. Mid arm circumference\/ Head circumference

Explanation: KANAWATI INDEX;- Mid arm circumference divided by head circumference. 1. Normal : > 0.31 2. Mild PEM: 0.31-0.28 3. ModeratePEM: 0.28-0.25 4. Severe PEM : <0.25